Endolymphatic hydrops is seen in
1. Meniere's disease
2. Otosclerosis
3. Acoustic neuroma
4. Glomus tumor

Correct answer: 1. Meniere's disease

Explanation: Normally endolymph is carried by the endolymphatic duct to the sac where it is absorbed. Defective absorption is by the sac maybe responsible for raised endolymph pressure. Experimental obstruction of the endolymphatic sac and its duct produces endolymphatic hydrops in Meniere's disease. Ref: Diseases of EAR, NOSE and THROAT by PL Dhingra; 7th Edition; page no.111